Maldigestion of protein and fat is manifested in chronic pancreatitis only if the damage of pancreatic tissue exceeds?
1. 30%
2. 50%
3. 90%
4. 75%

Correct answer: 3. 90%

Explanation: There is a very large reservoir of pancreatic exocrine function. > 90% of the pancreas must be damaged before maldigestion of fat and protein is manifested. Reference: Harrisons Principles of Internal Medicine, 18th Edition, Page 2629